The following laboratory determinants is abnormally prolonged in ITP :
1. APTT
2. Prothrombin time
3. Bleeding time
4. Clotting time

Correct answer: 3. Bleeding time

Explanation: Answer is C (Bleeding time) Bleeding time is indicative of function of platelets. In any form of thrombocytopenia it is platelets that are affected and hence tin, deranged ',ammeter would he bleeding time. PT, APTT and Clotting time are parameters of coagulation disorders and not bleeding disorders. These parameters will be normal in disorders of platelet function